Primary immune response is mediated by-
1. IgE
2. IgM
3. IgA
4. IgD

Correct answer: 2. IgM

Explanation: Ans. is b i.e., 1gM